Chronic dacrocystitis is due to?
1. Obstruction in naso lacrimal duct
2. Narrow bony canal
3. Foreign body
4. All of above

Correct answer: 4. All of above

Explanation: ANSWER: (D) All of aboveREF: Khurana 4th ed p. 370Etiology of chronic dacryocystitis is due to obstruction and stasis AETIOLOGY:Nasolacrimal obstructionNarrow" bony canalExcessive folds in nasolacrimal ductForeign bodyExcessive lacrimationMild grade inflammation